Which of the following is not a part of accomodation
1. Change is anterior curvature of lens
2. Change in posterior curvature of lens
3. Change in Ciliary zonules tension
4. Contraction of ciliary muscles

Correct answer: 2. Change in posterior curvature of lens

Explanation: No change occurs in posterior curvature of lens in accomodation Accomodation Inherent capacity of eye to focus light rays from near object on retina Due to inc in power of lens because of increase in curvature of lens Inc in curvature of lens of anterior part of lens Contraction of ciliary muscles causes zonules to relax Lens becomes more convex over anterior surface